Which of the following findings expected on microscopic examination of biopsy from heart bowing ventricular hypertrophy With asymmetric septal thickening
1. Aschoff bodies
2. Disorganisation of myofibrils
3. infiltration by inflammatory cells
4. Localised fibrous scarring

Correct answer: 2. Disorganisation of myofibrils

Explanation: Patients with chronic IHD typically exhibit left ventricular hypertrophy. The endocardium generally show patchy , fibrous thickening and mural thromboi may present Robbins page no. 384